Which one of the following does NOT increase neuromuscular blockade?
1. Clindamycin
2. Lincomycin
3. Streptomycin
4. Erythromycin

Correct answer: 4. Erythromycin

Explanation: (D) Erythromycin # NEUROMUSCULAR BLOCKADE CAUSED BY AMINOGLYCOSIDES: An unusual toxic reaction of acute neuromuscular blockade and apnea has been attributed to the aminoglycosides. Order of decreasing potency for blockade is Neomycin, Kanamycin, Amikacin, Gentamicin, and Tobramycin. In humans, neuromuscular blockade generally has occurred after intrapleural or intraperitoneal instillation of large doses of an aminoglycoside; Most episodes have occurred in association with anesthesia or the administration of other neuromuscular blocking agents Patients with myasthenia gravis are particularly susceptible to neuromuscular blockade by aminoglycosides Erythromycin does not cause nueromuscular blockade as it is a macrolide.